Bakers cyst is a type of:
1. Pulsion diverticulum of knee joint
2. Retention cyst
3. Bursitis
4. Benign tumor

Correct answer: 1. Pulsion diverticulum of knee joint

Explanation: Baker's cyst:- It is a pulsion diverticulum of knee joint.- It usually found in the posterior aspect of the knee joint.- It is associated with medial meniscal injury.